Well defined lesion in the lung with popcorn calcification on X-ray suggestive of-
1. Ca lung
2. Adenoma
3. Hamartoma
4. Hydatid cyst

Correct answer: 3. Hamartoma

Explanation: Popcorn calcification is characteristic of Hamartoma.